The treatment of choice for a mucocele of gall bladder is -
1. Aspiration of mucous
2. Cholecystectomy
3. Cholecystostomy
4. Antibiotics and observation

Correct answer: 2. Cholecystectomy

Explanation: Ans. is 'b' i.e., Cholecystectomy Mucocele of the Gall bladder ? It is one of the complications of Gall stones. Caused due to obstruction of the stone at the neck of the bladder. In course of time the bile is absorbed and replaced by the mucus secreted by the Gall bladder epithelium. Due to this the Gall bladder may because distended and palpable. Treatment The t/t is early cholycystectomy. - If early t/t is not done following complications can occur? - Empyema Perforation - Gangrene